HIV envelope is formed by
1. Host cell
2. Virus
3. Both
4. None

Correct answer: 3. Both

Explanation: HIV Envelope is made up of Lipoprotein.
Lipid is derived from host cell and protein is virus encoded.